The oculomotor nerve passes between which pair artery?
1. A Superior cerebellar artery and posterior cerebral artery
2. Posterior inferior cerebellar artery and anterior-cerebellar artery
3. Posterior cerebellar artery and middle cerebral Artery
4. Posterior cerebral communicating artery

Correct answer: 1. A Superior cerebellar artery and posterior cerebral artery

Explanation: The oculomotor nerve emerges from the midbrain and passes between the two cerebral peduncles. The nerve then passes between the superior cerebellar artery and the posterior cerebral artery before entering the dura of the lateral wall of the cavernous sinus Because of the close relationship between the oculomotor nerve and, the superior cerebellar, posterior cerebral, and basilar arteries: an aneurysm of any of these three arteries can compress the oculomotor nerve.